The administration of succinylocholine to a paraplegic patient led to the appearance of dysarrhythmias, conduction abnormalities and finally cardiac arrest. The most likely cause is:
1. Hypercalcemia
2. Hyperkalemia
3. Anaphylaxis
4. Hypermagnesemia

Correct answer: 2. Hyperkalemia

Explanation: Ans. is 'b' i.e. Hyperkalemia It has been repeated several times before that succinylcholine causes hyperkalemia in paraplegic patients. This hyperkalemia is responsible for cardiac complications such as dysrhythmias, conduction abnormalities and cardiac arrest.On page 347 Lee states"Suxamethonium may be dangerous in the period h/w about 3 days and 6 months or perhaps longer after onset of paraplegia. It releases more potassium than usual from muscles and the extreme hyperkalemia can cause arrhythmias or cardiac arrest."